Presenting manifestation of Alport syndrome is :
1. Haematuria
2. Proteinuria
3. Oliguria
4. Sensorineural deafness

Correct answer: 1. Haematuria

Explanation: Answer is A (Haematuria):Most patients with Alports syndrome present with haematuria.Alport syndrome is the 'most common hereditary nephritis' and it is characterized by haematuria - HarrisonManifestations- Renal manifestations- Extrarenal manifestations- Microscopic haematuria- Sensorineural hearing loss- Proteinuria (nephrotic range - 30%)- Bilateral anterior lenticonus (15 to 30%)- Progressive renal insufficiency- Recurrent corneal erosionsSensorineural deafness is primarily in the high tone range and can frequently be detected only by an audiogram.It is thus unlikely to be a presenting symptom. (It is usually non progressive)Proteinuria by itself is again unlikely to be a presenting symptom.Olizuria would develop with progressively increasing renal insufficiency